Digitalis given to atrial flutter often produces ?
1. Atrial fibrillation
2. Atrial tachycardia
3. Atrial asystole
4. Atrial bigeminy

Correct answer: 1. Atrial fibrillation

Explanation: Ans. is 'a' i.e., Atrial fibrillation o Digitalis may convert the atrial flutter to atrial fibrillation by reducing atrial ERP and making it homogenous. o This is a welcome response because control of ventricular rate is easier in atrial fibrillation than in atrial flutter. o This digitalis induced atrial flutter may reverts to sinus rhythm (normal rhythm).